Which of the following is CD 15 & CD30 positive:
1. Lymphocyte predominance Hodgkin's lymphoma
2. Mantle cell lymphoma
3. Burkit's lymphoma
4. Mixed cellularity Hodgkin's lymphoma

Correct answer: 4. Mixed cellularity Hodgkin's lymphoma

Explanation: Answer- D. Mixed cellularity Hodgkin's lymphomaCD15-Granulocytes; also expressed by Reed-Sternberg cells and variants in classical Hodgkin lymphomaCD30-Activated B cells, T cells, and monocytes; also expressed by Reed-Sternberg cells and variants in classical Hodgkin lymphoma.